Which one of the following acts as lung surfactant:
1. Sphingomyelin
2. Lysolecithin
3. Dipalmitoyl lecithin
4. Cephalin

Correct answer: 3. Dipalmitoyl lecithin

Explanation: C Harper, 26th ed, p. 202 & 25th ed, p. 265